Which parasite causes Cholangiocarcinoma
1. Fasciola hepatica
2. Fasciola buski
3. Clonorchis sinensis
4. Paragonimus westermani

Correct answer: 3. Clonorchis sinensis

Explanation: Clonorchis Sinensis causes cholangiocarcinoma of liver, bileduct and Adenocarcinoma of pancreas